Woods lamp wavelength is
1. 360-385nm
2. 400-450nm
3. 280-320nm
4. 450-500nm

Correct answer: 1. 360-385nm

Explanation: Wood's lamp wavelength is 320 and 400 nm with a peak at 365 nm. Applications of Wood's lamp Bacterial: Pseudomonas species: green in folliculitis and infected burn wounds. Corynebacterium minutissimum: coral red in erythrasma. Propionibacterium acnes: orange-red in comedones. Fungal Tinea versicolor: Malassezia furfur yellowish-white or copper-orange. Pityrosporum folliculitis: Bluish-white in a follicular pattern. Tinea capitis: blue-green (most Microsporumspecies), occasionally dull yellow (Microsporum gypseum) and dull blue (Trichophyton schoenleinii). Pigment disorders: Hypopigmentation or depigmentation,Vitiligo, Tuberous sclerosis, Hypomelanosis of Ito, Hyperpigmentation, Melasma Porphyrias Ref Harrison 20th edition pg 1278